All of the following are cells present in cerebellar cortex, EXCEPT:
1. Purkinje
2. Bipolar
3. Granule
4. Golgi

Correct answer: 2. Bipolar

Explanation: The cerebellar cortex is arranged as a highly ordered array, consisting of five primary cell types:Granule cellsPurkinje cellsBasket cellsGolgi cellsStellate cellsRef: Waxman S.G. (2010). Chapter 7. The Brain Stem and Cerebellum. In S.G. Waxman (Ed), Clinical Neuroanatomy, 26e.